Liquefaction foci of Miller is a histopathoLogical observation in
1. Cemental caries
2. Early enamel caries
3. c) Advanced enamel caries
4. d) Advanced dentinal caries

Correct answer: 4. d) Advanced dentinal caries